A 2 years old child without fever develps bone pain, vomiting and features of increased intracranial pressure following excessive medication. The drug most likely to be responsible for this is?
1. Vitamin A
2. Phenothiazine
3. Phenytoin
4. 'Vitamin D

Correct answer: 1. Vitamin A

Explanation: Ans. is 'a' i.e., Vitamin A Hvpervitaminosis A o Excess of vitamin A can lead to rupture of lysosomal membrane. o Acute manifestations --> Signs and symptoms are due to raised intracranial tension (pseudotumor cerebri) --> headache, nausea, vomiting, drowsiness, bulging fontanelles, diplopia, papilledema and cranial nerve palsies. o Chronic intoxication --> Anorexia, weight loss, painful extremities, dry itchy desquamating skin, alopecia, coarsening of hair, hepatosplenomegaly, bone abnormalities and bony swelling.